Vitamin B12 level in chronic myeloid leukemia is:
1. Elevated
2. Decreased (slightly)
3. Normal
4. Markedly decreased

Correct answer: 1. Elevated

Explanation: Chronic Myelogenous leukaemia Increased levels of Vitamin B12 levels Uric acid levels Serum LDH levels Lysozyme Decreased levels of LAP( Leukocyte Alkaline Phosphatase )